Presistent hyperplastic primary vitreous may be associated with:
1. Long ciliary processes
2. Microphthalmos
3. Cataract
4. All of the above

Correct answer: 4. All of the above

Explanation: Ans. All of the above